Most common tumor of submandibular gland is -
1. Pleomorphic adenoma
2. Adenolymphoma
3. Oncocytoma
4. Hemangioma

Correct answer: 1. Pleomorphic adenoma

Explanation: Ans. is 'a' i.e., Pleomorphic adenoma * Pleomorphic adenoma - Most common benign tumor of submandibular gland* Adenoid cystic carcinoma - Most common malignant tumor of submandibular gland.